All are effects of sympathetic stimulation except
1. Increased conduction velocity
2. Increased heart rate
3. Increased refractory period
4. Increaed contractility of heart

Correct answer: 3. Increased refractory period

Explanation: Stimulation of the sympathetic cardiac nerves speeds the depolarizating effect of IH and the rate of spontaneous discharge increasesThis is possible by decrease in the refractory period Ref: Ganong's Review of Medical Physiology Twenty-Third Edition Page No:492